All of the following feature of hallucination EXCEPT : a) Depends on will of observer and is under voluntary controlb) Occur in inner subjective spacec) It is vivid as sensory perceptiond) It occurs in absence of perceptual stimulus
1. ac
2. a
3. ad
4. ab

Correct answer: 4. ab

Explanation: Hallucinations are not under voluntary control of observer.
Hallucinations are perceived as being in external objective space (not in inner subjective space).